International prognostic index for lymphomas includes the following prognostic factors, except ?
1. Stage of disease
2. Number of extralymphatic sites involved
3. LDH
4. Hemoglobin and albumin

Correct answer: 4. Hemoglobin and albumin

Explanation: Ans. is D i.e., Hemoglobin and albumin The prognosis of patients with NHL is best assigned using the International Prognostic index (IPI). This is a powerful predictor of outcome in all subtypes of NHL. Patients are assigned on IPI score based on the presence or absence of five adverse prognostic factors i) Age > 60 years ii) Elevated serum LDH iii) Performance status 2 (ECOG) or 70 ( Karnofsky) iv) > I site of extranodal (extralymphatic ) involvement v) Ann Arbor Stage III or IV